All of the following spaces are seen in relation to larynx except:
1. Space of boyer
2. Space of tucker
3. Reinke's space
4. Space of gillette

Correct answer: 4. Space of gillette

Explanation: Space of Gillette is seenin pharynx in relation to retropharyngeal space and not in larynx. Spaces in relation to larynx1. Pre-epiglottic space (Space of Boyer)Location: Between the thyroid and thyrohyoid membrane anteriorly and epiglottis posteriorly. Laterally it is continuous with paraglottic space.2. Paraglottic space (space of Tucker): It is bounded by the thyroid cartilage laterally, conus elasticus inferomedially, the ventricle and quadrangular membrane medially, and mucosa of pyritinuous with pre-epiglottic space. Growths which invade this space can present in the neck through cricothyroid space.3. Reinke's space: Under the epithelium of vocal cords is a potential space with scanty subepithelial connective tissues. It is bounded above and below by the arcuate lines, in front by anterior commissure, and behind by vocal process of arytenoid. Oedema of this space causes fusiform swelling of the membranous cords (Reinke's oedema).